S shaped eyelid is seen in:
1. Plexiform neurofibroma
2. Hemangioma
3. Arterio venious fistula
4. Varix

Correct answer: 1. Plexiform neurofibroma

Explanation: Ans. Plexiform neurofibroma